Which of the following is physiological uncoupler?
1. Thermogenin
2. 2, 4 nitrophenol
3. 2, 4 Dinitrophanal
4. Oligomycin

Correct answer: 1. Thermogenin

Explanation: Physiological uncouplers i. Thyroxine, in high doses ii. Thermogenin in brown adipose tissueRef: DM Vasudevan Textbook of Medical Biochemistry, 6th edition, page no: 234